True about body fluid osmolarity ?
1. Major contributor is proteins
2. Major contributor is Na+
3. ECF osmolarity is 250 mOsm/L
4. Measured by dilution method

Correct answer: 2. Major contributor is Na+

Explanation: Ans. is 'b' i.e., Major contributor is Na+